Age of eruption of Permanent 1st molor ?
1. 6 years
2. 8 years
3. 10 years
4. 12 years

Correct answer: 1. 6 years

Explanation: Ans. is 'a' i.e., 6 years